Most sensitive and specific marker for MI is?
1. Troponin
2. Cytokeratin
3. Myoglobin
4. CPK-MM

Correct answer: 1. Troponin

Explanation: Ref: Harrison 20th edition, P 384Cardiac specific markers of myocardial damage include quantitative determination of CK-MB, Troponin I and Troponin T. Troponins can become elevated by 3 hours. The circulating values remain elevated up to a week.